Raised beta-HCG levels are seen in:a) DMb) Preeclampsiac) Ectopic pregnancyd) Rh. Incompatibilitye) Down syndrome
1. ab
2. bc
3. de
4. bd

Correct answer: 3. de

Explanation: hCG levels:
Caught you, I know some of you must have instantly answered “Down’s syndrome”. But my dear friends read the question very carefully. It says decreased hCG levels and not decreased AFP levels.
hCG levels: